All of the following statements about nasiritide are true except:
1. It is a BNP analogue
2. It can be used in decompensated CHF
3. It can be administered orally
4. It causes loss of Na+ in the urine

Correct answer: 3. It can be administered orally

Explanation: Ref:CMTD 2014/936;KDT 6/e p507 Nesiritide is a recombinant BNP It reduces vasodilation and natriuresis it has to be administered by i.v. route.